For the following statements, select the most likely type of Hodgkin disease (HD).This variant has a particularly good outcome.
1. lymphocyte-predominant Hodgkin disease (HD)
2. nodular-sclerosing HD
3. mixed-cellularity HD
4. lymphocyte-depleted HD, reticular type

Correct answer: 1. lymphocyte-predominant Hodgkin disease (HD)

Explanation: Most patients with lymphocyte-predominant Hodgkin disease have clinically localized disease and are asymptomatic; the prognosis is usually favorable. However, it accounts for only 4%-5% of cases.